Desmosomes are helpful in connecting-
1. Keratinocytes
2. Melanocytes
3. Dermis and epidermis
4. Langerhans cells

Correct answer: 1. Keratinocytes

Explanation: Desmosomes are the adhesive intercellular molecules that bind keratinocytes with each other. desmosomal proteins are of wo types desmogleins 1-4 desmocollins 1-3 Ref Harrison20th edition pg 1207